Acute metabolic acidosis:
1. Has biphasic effect on K+ excretion
2. Does not effect K + excretion
3. Decreases urinary K+ excretion
4. Increase urinary K+ excretion

Correct answer: 3. Decreases urinary K+ excretion

Explanation: When H+ concentration is increased as in acidosis, H+ ions are secreted (preferentially over K+ ions) in exchange of Na+Thus in acidosis K+ secretion into tubules (excretion) is inhibitedRef: Harrison's 18/e p366